The drug recommended for chemoprophylaxis 1 day before induction into high altitude areas is
1. Acetazolamide
2. Furosamide
3. Doxycycline
4. Paracetamol

Correct answer: 1. Acetazolamide

Explanation: Acetazolamide is the drug of choice for Acute Mountain Sickness prevention. It inhibits renal carbonic anhydrase, causing a prompt bicarbonate diuresis that leads to metabolic acidosis and hyperventilation.Acetazolamide (125-250 mg twice a day), administered for 1 day before ascent and continued for 2 or 3 days, is effective. Higher doses are not required.Ref: Harrison's principles of Internal Medicine; 19th edition; Chapter 476e Altitude Illness